Okazaki fragment helps in:
1. DNA replication
2. Translation
3. Protein synthesis
4. Transcription

Correct answer: 1. DNA replication

Explanation: A i.e. DNA replication